Vitamin C deficiency results in which of the following?
1. Decreased degradation of collagen
2. Stimulation of poly hydroxylase
3. Formation of unstable collagen helices
4. Excessive callus formation in healing fractures

Correct answer: 3. Formation of unstable collagen helices

Explanation: Scurvy, or vitamin C deficiency, results in an inability to form normal collagen triple helices. In scurvy, the resulting collagen is less stable and is subject to denaturation and proteolytic breakdown. That results partially from slower secretion of collagen from fibroblasts. The collagen formed is not normally hydroxylated at proline and lysine residues because of the absence of vitamin C, which is a specific cofactor for hydroxylation of proline and lysine. Bone growth, development of the dentition, and wound and fracture healing as well as the general stability of adult organs are inhibited because of the importance of collagen in the maintenance of structural support. Periodontal bleeding and ulceration are also common symptoms in scurvy.